Which of the following coding system used in ICD-10 is used for “Schizophrenia, schizotypal and delusional disorders”?
1. F10-F19
2. F20-F29
3. F30-F39
4. F40-F48

Correct answer: 2. F20-F29

Explanation: F20-F29
(Ref : ICD-10 WHO)